Drugs abuse with symptoms similar like paranoid schizophrenia are seen in
1. LSD
2. Cannabis
3. Heroin/Cocaine
4. Amphetamine

Correct answer: 4. Amphetamine

Explanation: D i.e. Amphetamine